Which glycogen storage disease does not affect muscles?
1. Type 1
2. Type 2
3. Type 3
4. Type 4

Correct answer: 1. Type 1

Explanation: a. Type 1(Ref: Nelson's 20/e p 715-725, Ghai 8/e p 655-657)Type 2 Pompe disease predominantly involves muscles, while type I GSD involves liver.Although type 2 and type 3 GSD are predominantly liver glycogenoses, skeletal muscle involvement may also be seen.